The pharyngeal diverticulum is a protustion of mucosa between-
1. The two parts of inferior constrictor musice of the pharynx
2. The two parts of middle constrictor musice of the pharynx
3. The two parts of the superior constrictor muscle of the pharynx
4. Cricopharyngeal and posterior part o suprahyoid membrane

Correct answer: 1. The two parts of inferior constrictor musice of the pharynx